All of the following are included in the pathogenesis of oedema except?
1. Decreased hydrostatic pressure of capillaries
2. Decreased plasma osmotic pressure of capillaries
3. lymphatic obstruction
4. Increased vascular permeability

Correct answer: 1. Decreased hydrostatic pressure of capillaries

Explanation: Pathogenesis of edema
1) The increased hydrostatic pressure of capillaries
2) Decreased plasma osmotic pressure of capillaries: It causes decrease in inward driving force. It results from Hypoproteinemia. When total plasma protein is below 5 gm/dl(A 113) (normal 6-8 gm/dl) or albumin is below 2-5 gm/dl (normal 3.5-5 gm/dl) edema takes place.
3) Defective removal of interstitial fluid by lymphatics: It is due to lymphatic obstruction.
4) Increased vascular permeability
5) Sodium (salt) and water retention